Hypertrophic pyloric stanosis causes
1. Hyperkalemic metabolic alkosis
2. Hyperkalemic metabloic acidosis
3. Hyperkalemic metabolic alkalosis with paradoxical aciduria
4. Hypokalemic metabolic alkalosis with paradoxical aciduria

Correct answer: 4. Hypokalemic metabolic alkalosis with paradoxical aciduria

Explanation: In Hypertrophic pyloric stenosis dehydration causes hypokalemic, hypochloremic metabolic alkalosis with paradoxical aciduria.